Which of the muscle is supplied by both tibial and common peroneal part of the sciatic nerve is
1. Adductor magnus
2. Semitendinosus
3. Semi membranosus
4. Biceps femoris

Correct answer: 4. Biceps femoris

Explanation: (Biceps femoris) (173-BDC-2 4th)Branches of sciatic nerve Gluteal regionBack of thigh; from the tibial partFrom common peroneal partMuscularNilLong head of biceps femoris, semitendinosus, semimembranosus, ischial part of adductor magnusShort head of biceps femorisArticularNilHip joint-TerminalNilTibial and common peroneal nerve-Sciatic nerve is the thickest nerve of the body, it is the terminal branch of the lumbo-sacral plexus.